Cells characteristic of Hodgkin's disease are: OBI:
1. Lacunar cells
2. Red-Stemberg cells
3. Giant cells
4. Eosinophils

Correct answer: 2. Red-Stemberg cells

Explanation: Answer is B (Read Sterberg cells) Hodgkin's Lymphoma is characterized morphologically by the presence of distinctive neoplastic giant cells called Read